The Anton test is used in the diagnosis of -
1. C. diphtheriae
2. H. influenzae
3. L. monocytogenes
4. S. pneumoniae

Correct answer: 3. L. monocytogenes

Explanation: . Ans. is 'c' i.e., L. monocytogenes